The commonest site of fracture in Base of Skull?
1. Anterior Cranial fossa
2. Middle cranial fossa
3. Posterior cranial fossa
4. Lateral cranial fossa

Correct answer: 2. Middle cranial fossa

Explanation: The common sites of fracture in the skull are:(a) The parietal area of the vault.(b) The middle cranial fossa of the base. This fossa is weakened by numerous foramina and canals.The facial bones commonly fractured are: (a) The nasal bone and (b) the mandible.Some clinical features of petrous temporal bone fractureBattle signCSF otorrheaotorrhagia